Boundaries of quadrilateral space include all except -
1. Teres major
2. Long head of triceps
3. Neck of humerus
4. Deltoid

Correct answer: 4. Deltoid

Explanation: -        Boundaries of quadrilateral space

   Superior- Sub scapularis, Shoulder joint capsule and teres minor
   Medial- Long head of triceps
   Lateral- Surgical neck of humerus
   Inferior- Teres major
   Content- axillary nerve and posterior circumflex humeral vessels.